Alfa blocker useful in BPH is?
1. Phentolamine
2. Prazosin
3. Tolazoline
4. Phenoxybenzamine

Correct answer: 2. Prazosin

Explanation: ANSWER: (B) PrazosinREF: Goodman and Gillman s 11TH edition page 172, 173, 183a BLOCKERSClassDrugsPharmacologicalActionsApplicationsUntoward EffectsNon selective/ classical a blockersPhenoxvbenzaminePhentolamineTolazolineDecrease in PVR and blood pressure VenodilationTreatment of catecholamine excess (Pheochromocytoma)Postural hypotension Failure of ejaculationSelective cq blockersPrazosinTerazosinDoxazosinTrimazosinAlfuzosinTamsulosinDecrease in PVR and blood pressure Relax smooth muscles in neck of urinary bladder and in prostatePrimary hypertension. Increase urine flow in BPHPostural hypotensionPrazosin, the prototypic quinazoline a blocker, is a potent and selective a receptor antagonist. In treating benign prostatic hyperplasia (BPH), doses from 1 to 5 mg twice daily typically are used. The twice-daily dosing requirement for prazosin is a disadvantage compared with newer a] receptor antagonists.